Which of the following hormone increases during post menopausal period?
1. Progesterone
2. Estrogen
3. FSH
4. Androgens

Correct answer: 3. FSH

Explanation: After the onset of menopause there is a 10 -15 fold increase in FSH concentration, and a 4-5 fold increase in LH concentration. FSH level over 30-40mIU indicate menopause. Estrogens, progesterone and total androgen production decreases after menopause . Estradiol level before menopause is 50 -500pg/ml, after menopause it decreases to 5 -25 pg/ml.